True about Visceral pain:
1. It is poorly localized
2. Resembles "fast pain" produced by noxious stimulation of the skin
3. Mediated by B fibers in the dorsal roots of the spinal nerves
4. Causes relaxation of nearby skeletal muscles

Correct answer: 1. It is poorly localized

Explanation: A i.e. It is poorly localized- Vanilloid receptors - VR1 are activated not only by pain causing agents capsaicinQ but also by protons & temperatures above 43deg02.- Pain receptors are absent in liver parenchyma, lung alveoli, brain parenchyma, arachnoidmater, piamater, pial veins, & choroids plexusQ- Perception of normal innocuous sensory stumuli (eg touch) as painfulQ is known as allodynia or different pain; whereas hyperalgesia is a hypesensitization of pain receptorsQ, thus lowering their threshold and causing exaggerated response on minor pain producing stumiliQ.- Visceral pain (of thoracic & abdominal cavities) is transmitted through small type C fibers and so can only be of chronic aching-suffering type showing slow adaptationQ. Due to relative deficiency of A8 nerve fibers in deep (visceral) structures there is only very little rapid, bright, fast pain. Visceral pain is poorly localized(2 (often referred & radiating), nauseating & a/w autonomous symptoms and spasm (reflex contraction of nearby skeletal muscle)Q.Pain - NociceptionPain is defined as an unpleasant sensory and emotional experience a/w actual or potential tissue damage, or described in terms of such damage. Whereas nociception is unconscious activity induced by a harmful stimulus applied to sense receptors.Acute or physiological pain is considered as good pain as it serves an important protective mechanism like withdrawl reflex. Whereas chronic or pathological pain like inflammatory & neuropathic (eg causalgia) pain can be considered bad pain.